Property of elution is found in?
1. Myxoviras
2. Togavirus
3. Parvovirus
4. Adenovirus

Correct answer: 1. Myxoviras

Explanation: Elution is found only in viruses that possess neuraminidase REF:ANANTHA NARAYANAN MICRO BIOLOGY NINTH EDITION PAGE.430